BRCA 1 gene is located on which chromosome?
1. Chromosome 13
2. Chromosome 17
3. Chromosome 19
4. Chromosome 21

Correct answer: 2. Chromosome 17

Explanation: Ans. (b) Chromosome 17Ref: Robbiris pathology 9th ed. 1291* The BRCA2 gene is located on chromosome 13 and encodes over 3000 amino acids. It appears that BRCA2 plays an important role in male breast cancer.* The human BRCA1 gene is located on the long (q) arm of chromosome 17